Which of the following is not a tributary of azygos vein?
1. Right posterior intercostal
2. Right superior intercostal
3. Left superior intercostal
4. Accessory hemiazygos

Correct answer: 3. Left superior intercostal

Explanation: Tributaries of Azygos vein

Right superior intercostal vein
Right posterior intercostal veins (5 to 11)
Hemiazygos vein
Accessory hemiazygos vein
Right bronchial vein
Esophageal, mediastinal and pericardial veins.